A 'group on medical education and support manpower' is popularly known as
1. Kartar Singh committee
2. Mudaliar committee
3. Shrivastav committee
4. Bhore committee

Correct answer: 3. Shrivastav committee

Explanation: The government of India in the ministry of health and family planning in November 1974 set up a 'group on medical education and support manpower' popularly known as shrivastav committee1. to devise a suitable curriculum for training healthcare assistants2. to suggest steps for improving the existing medical educational processes 3. to make any other suggestions to realize the above objectives and matters incidental theretoRef: Park; 23rd ed; Pg 875